Which of the following is not true regarding Von Willebrand disease?
1. Normal platelet count
2. Quantitative defects are seen in subtypes 1 and 3 von Willebrand disease
3. Hemarthrosis is the usual presentation
4. Produced by endothelial cells

Correct answer: 3. Hemarthrosis is the usual presentation

Explanation: VWD characterized by functional defect in the platelets (but normal platelet count) Reduced functional half-life of clotting factor VIII VWD has three subtypes I /II/III I and III subtypes characterized by deficiency of Von Willebrand factor(quantitative problem) Subtype II is characterized by functional defect of von Willebrand factor because of genetic mutation Mucus membrane bleeding is seen in patients